Which is NOT a true rib ?
1. 5
2. 6
3. 7
4. 8

Correct answer: 4. 8

Explanation: True ribs or vertebral sternal ribs are directly attached to sternum. These are first seven pairs. False ribs or Vertebrochondral ribs are indirectly attached to sternum anteriorly with the help of costal cartilage. These are 8th to 10th Pair of ribs. Last two pair are floating ribs which are not attached to sternum anteriorly. They are only posteriorly attached to vertebrae.